Enzyme defective in Maple syrup urine disease is:
1. Tyrosinase
2. Phenylalanine hydroxylase
3. Branched chain alpha ketoacid dehydrogenase
4. Homogentisate oxidase

Correct answer: 3. Branched chain alpha ketoacid dehydrogenase

Explanation: Enzyme deficiencies and conditionsTyrosinase is deficient in albinismPhenylalanine hydroxylase is deficient in phenylketonuriaMaple syrup urine disease is due to a defect in the enzyme branched chain alpha-keto acid dehydrogenaseHomogentisate oxidase is deficient in alkaptonuria